For cast restorations the cavity wall should have a taper of
1. 30-45 degree
2. 5-10 degree
3. 2-5 degree
4. none of the above

Correct answer: 3. 2-5 degree